Drawback of artesunate is:
1. Poor bioavailability
2. Rapid recrudescence of malaria
3. Hypoglycemia
4. Hemolysis

Correct answer: 2. Rapid recrudescence of malaria

Explanation: Because artemisinins are short acting drugs, monotherapy needs to be extended beyond the disappearance of the parasites to prevent recrudescence. After 5 days treatment recrudescence rate is -10%, while with a 3 day course it is -50%. Recrudescence can be totally prevented by combining 3 day artesunate/artemether with a long acting drug ESSENTIALS OF MEDICAL PHARMACOLOGY page no. 830